Malignant otitis externa is due to -
1. Wax impaction
2. Hypertension
3. Diabetes
4. None of above

Correct answer: 3. Diabetes